Following is true about pleomorphic adenoma except -
1. it is also called mixed tumor
2. It most commonly in%rolves the parotid gland
3. Does not involve the submandibular gland
4. It is the commonest neoplasm of the salivary glands

Correct answer: 3. Does not involve the submandibular gland

Explanation: Ans. is 'c' i.e., Does not involve the submandibular glandPleomorphic adenomao This is the Commonest neoplasm of Salivary glands.o The most Common salivary gland involved is Parotid - represent about 60% tumors in the parotid,o Submandibular and minor salivary glands may also be involved rarely,o Pleomorphic adenoma - Parotid > Submandibular > minor salivary glands.o They are derived from a mixture of ductal (epithelial ) and myoepithelial cells and therefore they show both epithelial and mesenchymal differentiation - Also called mixed tumor.